In which part of the body a lesser impact causes a maximum bruise
1. Back
2. Sole
3. Face
4. Palm

Correct answer: 3. Face

Explanation: Bruising is more marked on tissue overlying bone which acts as an anvil, with the skin between the bone and inflicting force.
Chronic alcoholic bruise easily. Abdomen, back, scalp, palms & soles, a blow of moderate violence produces comparatively small bruise due to firm fibrous tissue & covered by thick dermis.